All are sources of free radicals except -
1. Fentons reaction
2. Glutathione
3. Myeloperoxidase
4. Nitric oxide

Correct answer: 2. Glutathione

Explanation: Harshmohan textbook of pathology 7th edition. Reduced glutathione protects RBCs against oxidant stress produced by the oxygen free radicals. MPO, Fenton reaction produce oxygen free radicals. NO is a free radical..